Mode of spread of enterovirus is ?
1. Vector mediated
2. Droplet infection
3. Faeco oral route
4. Skin contact

Correct answer: 3. Faeco oral route

Explanation: enterovirus are transmitted through fecal and oral route REF:ANANTHANARAYANAN TEXT BOOK OF MICROBIOLOGY 9EDITION PGNO.485